Which of the following is a radio-resistant tumor?
1. Ewing's sarcoma
2. Malignant fibrous histiocytoma
3. Seminoma
4. Dysgerminoma

Correct answer: 2. Malignant fibrous histiocytoma

Explanation: Malignant fibrous histiocytoma is a soft tissue sarcoma. 10% of it occur in the head and neck. It mostly occur in adults 50-60 years of age. It has poor prognosis. Has high rate of recurrence following surgery. It is radioresistant and does not respond to chemotherapy.